What occurs when a temperate bacteriophage enters a state called "lysogeny"?
1. The bacterial cell is lysed
2. Many new viruses are produced
3. Most normal bacterial function are turned off
4. The virus may become integrated into the how genome

Correct answer: 4. The virus may become integrated into the how genome

Explanation: There are two types of bacteriopnages-"lytic" and "temperate." The distinction is made according to the life cycle of the bacteriophage. Upon entering a bacterium, lyric phages produce phage nucleic acids and proteins, assemble many new phage particles, lyse the cell, and release the progeny phage. Temperate phages, on the other hand, can penetrate the bacterium and enter a dormant state called "lysogeny' in which most viral genes are repressed. Bacterial functions remain active and the bacterium is not harmed. Some dormant phages replicate as plasmids, while others, such as phage lambda, become integrated into the host genome as "prophages." The prophage DNA is replicated along with the host DNA as the bacterium grows and divides.